If mother received lithium treatment for bipolar disorder during pregnancy, the fetus is likely to show:
1. Neural tube defects
2. Facial defects
3. Urogenital defects
4. Cardiac defect

Correct answer: 4. Cardiac defect

Explanation: Lithium is pregnancy category X drug. Lithium is known to cause various cardiac anomalies, especially Ebstein anomaly.